Which of the following is a contraindication to nonoperative management of splenic injury?
1. Prior hematologic disorder
2. HIV-positive patient
3. Hemodynamic instability
4. Multiple other solid-organ injuries

Correct answer: 3. Hemodynamic instability

Explanation: Hemodynamic instability is the most pressing indication for operative treatment in a patient with splenic injury. In all other situations listed a trial of nonoperative management may be continued.